Which of the following is virtually diagnostic of aortitis on chest X-Ray?
1. Calcification in descending aorta
2. Calcification of ascending aorta
3. Calcification of pulmonary artery
4. Focal oligemia

Correct answer: 2. Calcification of ascending aorta

Explanation: B i.e. Calcification of ascending aorta - Saccular aneurysm with pencil - thin (linear) dystrophic calcification most commonly in ascending aorta commencing near the aortic rootQ is charcteristic feature of syphilitic aortitis. - Aortic aneurysm in Marfan's syndrome often involves sinuses of valsalva, & ascending aorta. It can also affect aortic ring resulting in AR. The aneurysm is classically flask shaped with loss of usual indentation at sino -tubular junction. Takayasu's aortitis affects segments of aorta including main aortic branches & pulmonary arteries.